Bence Jones Protein are -
1. Heavy chains
2. Heavy & light chain
3. Light chain
4. Immunoglobulin

Correct answer: 3. Light chain